Which type of adenoma has the highest propensity to undergo dystrophic calcification?
1. Somatotroph adenoma
2. Corticotroph adenoma
3. Lactotroph adenoma
4. Thyrotroph adenoma

Correct answer: 3. Lactotroph adenoma

Explanation: Lactotroph adenomas have a propensity to undergo dystrophic calcification, ranging from isolated psammoma bodies to extensive calcification of virtually the entire tumor mass ("pituitary stone").